Which of the following antimalarial is a slow acting schizonticide-
1. Artemether
2. Mefloquine
3. Pyrimethamine
4. Quinine

Correct answer: 3. Pyrimethamine

Explanation: Ans. is 'c' i.e., Pyrimethamine o Antimalarials that act on erythrocytic phase of schizogony are called erythrocytic schizontocides. The available drugs can be divided into ? 1. Fast acting - Chloroquine, amodiaquine, quinine, mefloquine, halofantrine, lumefantrine, atovaquone, artemisinin. 2. Slow acting - Pyrimethamine, Proguanil, sulfonamides, tetracyclines.